Which of the following fluoroquinolones does not require dose adjustment in a patient with creatinine clearance of < 50mg/min -
1. Ciprofloxacin
2. Trovafloxacin
3. Lomefloxacin
4. Sparfloxacin

Correct answer: 2. Trovafloxacin

Explanation: Ans. is 'b' i.e., Trovofloxacin Fluoroquinolones that are excreted primarily by non renal mechanism and for which adjustment is not needed in renal pathology include : Nalidixic acid 3. Trovafloxacin 5. Moxifloxacin Grepofloxacin 4. Pefloxacin Fluroquinolones that are primarily excreted by renal mechanisms and for which dose adjustment is needed include: 1. Ciprofloxacin 3. Gatifloxacin 5. Lomefloxacilin 7. Ofloxacin 2. Cinafloxacin 4. Levofloxacilin 6. Norfloxacin Sparfloxacin has 50% renal and 50% faecal route of excretion and hence dose adjustment may be required in renal pathology.